In culex mosquito the type of biological transmission for filarial parasite is ?
1. Cyclo-developmental
2. Cyclo-propagative
3. Propagative
4. Cyclical

Correct answer: 1. Cyclo-developmental

Explanation: Ans. is 'a' i.e., Cyclo-developmental